Which of the following enzymes can polymerize deoxyribonucleotides into DNA?
1. Reverse transcriptase
2. DNA ligase
3. DNA gyrase
4. RNA polymerase III

Correct answer: 1. Reverse transcriptase

Explanation: Reverse transcriptase is an RNA-dependent DNA polymerase that can synthesize first a single strand and then a double- stranded DNA from a single-strand RNA template. Must know: Primase is a DNA-dependent RNA polymerase enzyme that synthesizes an RNA molecule 10 to 200 nucleotides in length that initiates or "primes" DNA synthesis. DNA ligase joins DNA fragments and DNA gyrase winds or unwinds DNA. Transfer RNA, 5SRNA, and other small RNAs are synthesized by RNA polymerase III. Ref: Molecular Biomethods Handbook, 2nd Ed Page 154.